Selection bias can be eliminated by:
1. Randomization.
2. Single blinding.
3. Double blinding.
4. Matching.

Correct answer: 1. Randomization.